To prevent Yellow Fever Aedes aegypti index should be less than?
1. 0.50%
2. 1%
3. 2%
4. 5%

Correct answer: 2. 1%

Explanation: Aedes aegypti index is a house index and defined as the percentage of houses and their premises,in a limited well defined area, showing actual breeding of Aedes aegylti larvae. This index should not be more than 1% in towns and seaports in endemic areas to ensure freedom from yellow fever. Reference; Park's Textbook of preventive and social medicine, 24th edition.Pg no. 301